Genital swelling in male differentiate into :
1. Glans penis
2. Penile urethra
3. Ishiocavernosus of penis
4. Scrotum

Correct answer: 4. Scrotum